The term "balanced anaesthesia" has been given by :
1. Simpson
2. Fischer
3. Lundy
4. Mortan

Correct answer: 3. Lundy